The requirement of potassium in a child is –
1. 1–2 mEq/kg
2. 4–7 mEq/kg
3. 10–12 mEq/kg
4. 13–14 mEq/k g

Correct answer: 1. 1–2 mEq/kg

Explanation: The recommended daily dietary intake of potassium in a child is 1- 2 meg/kg
`Dietary consumption varies considerable even though 1- 2 meg/kg is the recommended intake'